Fatal familial insomnia is associated with:
1. Prion disease
2. Degenerative diseases
3. Neoplastic diseases
4. Vascular diseases

Correct answer: 1. Prion disease

Explanation: Ans. is 'a' i.e., Prion diseaseFatal familial insomnia: Patients with this illness present with intractable insomnia, dysautonomia, dementia and motor paralysis. Death occurs within 6 months to 3 years following presentation. The clinical presentation of the disease, however, varies widely; hence definitive diagnosis of the condition is made by genotyping.